Tumors arising from all the following structures produce papilloedema except
1. Cerebrum
2. Cerebellum
3. Thalamus
4. Medulla

Correct answer: 4. Medulla

Explanation: Tumor of  medulla rarely produce papilloedema.